All are concerned with the rules of insanity except:
1. Currens rule
2. Durham's rule
3. Me Naughten's rule
4. Rule of Hasse

Correct answer: 4. Rule of Hasse

Explanation: Ans) d (Rule of Hasse) Ref: Reddy 21st Ed P 411.412Me Naughten's rule, Currens rule and Durham's rule, all are concerned with insanity.Rule of Hasse-It is used for calculating the age of the foetus. In the first five months of pregnancy the square root of crown rump length gives the approximate age of foetus in months. In the last five months the length in centimeters divided by 5 gives the age in months.Some important scientists in Forensic Medicine1. Dactylography-Galton2. Poroscopy-locard3. Exchange principle-Locard